Traumatic glenohumeral instability on one direction with Bankarts lesion are treated by
1. Consv ervative methods
2. Surgery
3. Rehabilitation
4. Observation f/b inferior capsule shift

Correct answer: 2. Surgery

Explanation: B i.e. Surgery